If a patient with Raynaud's disease immerses his hand in cold water, the hand will:
1. Turn white
2. Become red
3. Become blue
4. Remain unchanged

Correct answer: 1. Turn white

Explanation: When a patient with Raynaud's disease immerses his hand in cold water, the hand will turn white. Raynaud's phenomenon is characterized by episodic digital ischemia, manifested clinically by sequential development of digital blanching, cyanosis, and rubor of the fingers or toes after cold exposure and subsequent rewarming. Ref: Harrison's Principles of Internal Medicine, 18th Edition, Page 2071.